WHO declared global eradication of small pox on -
1. 26th October 1977
2. 5th July 1975
3. 17th May 1975
4. 8th May 1980

Correct answer: 4. 8th May 1980

Explanation: Ans. is 4d' i.e., 8th May 1980 Small poxo It was an acute infectious disease caused by Variola virus.o It is the only infectious disease which has been eradicated globally. The world's last case occured in Somalia on 26 October 1977. The WHO declared on 8 may 1980 that smallpox had been eradicatedo In April 1977, India was declared smallpox free. The last idiginous case in India occured on 17 may 1975 in Bihar and India's last known case of smallpox was an importation from Bangladesh, which occured on 24 May 1975.o The epidemiological basis which have led to small-pox eradication are :i) No-known animal reservoirii) No long-term carrieriii) Life-long immunity after recovery from diseaseiv) Sub-clinical infections not transmitting diseasev) Highly effective vaccinevi) Easy detection of casevii) International cooperation